Bispectral index is used in?
1. To know the potency of general anesthesia
2. To know the speed of induction
3. To monitor the depth of general anesthesia
4. None of the above

Correct answer: 3. To monitor the depth of general anesthesia

Explanation: Ans. is 'c' i.e., To monitor the depth of general anesthesia Bispectal Index* It is the first scientifically validated and commercially available monitor to check depth of anesthesia.* It utilizes many parameters like EEG signals, eye blinks etc to calculate a score.* A score of 45-60 is considered as adequate depth (score of 100 is for fully awake state and O for completely silent brain).BIS valueInterpretation80-100Awake60-80Moderate sedation40-60General anesthesia (no awareness)<40Deep anesthesia